What is the first step taken in case of multiple injuries of face and neck ?
1. A.Blood transfusion
2. B.IV fluids
3. C.Reconstruction
4. D.Maintenance of airway

Correct answer: 4. D.Maintenance of airway

Explanation: The initial management of traumatized patient must first consist of rapid primary survey and resuscitation. The primary survey consist of 'ABCDE' of trauma care( i.e, Airway with cervical spine protection, Breathing and ventilation, Circulation and haemorrhage control, Disability: neurological status, Exposure: completely undress the patient and assess for other injuries). In every trauma situation the patient's airway is of paramount importance and hence assessed first. Reference: Bailey and Love's Short Practice of Surgery, 26th edition, Pg no: 303